Precapillary sphincter relaxation is caused by
1. Sympathetic activity
2. Circulating catecholamines
3. Local metabolites
4. Fall in capillary pressure

Correct answer: 3. Local metabolites

Explanation: There is no autonomic supply to precapillary sphincters but control of these sphincters is done by oxygen concentration in tissue and local metabolites.